All of the following conditions have autosomal dominant inheritance except –
1. Fabry's disease
2. Marfan's syndrome
3. Osteogenesis imperfecta
4. Ehlers Danlos syndrome

Correct answer: 1. Fabry's disease

Explanation: Autosomal dominant disorders 

Normally a gene pair has two alleles.
When one allele becomes abnormal due to mutation it is called heterozygous state.
When both the alleles become abnormal due to mutation it is called homozygous state.
Autosomal dominant disorders are manifested in heterozygous state, i.e. only if one allel is abnormal the disease will be manifested.

Autosomal dominant disorders